Nitric oxide is synthesized from which Amino acid
1. Lysine
2. Arginine
3. Serine
4. Threonine

Correct answer: 2. Arginine

Explanation: (B) Arginine[?]Important Facts about Nitric OxideoImproves oxygen deliveryoImproves oxygen delivery to every celloExpands blood vesselsoImproves overall circulationoLowers risk of plaque accumulationoAids in preventing blood clotsoHelps to regulate your blood pressureoImproves erectile dysfunctionoRaises the effectiveness of your workoutsoCritical to neurotransmissionsoHelps prevent cognitive declineOther Options[?]Lysine:-Encoded by the codons AAA and AAG, is an a-amino acid that is used in the biosynthesis of proteins.[?]Serine:-Serine is the most important source of substituted folates for biosynthetic reactions, and the activity of serine hydroxy methyltransferase is regulated by the state of folate substitution and the availability of folate.[?]Threonine:-Threonine aldolase (EC 4.1.2.5) cleaves threonine to glycine and acetaldehyde.-Catabolism of glycine is discussed above. Oxidation of acetaldehyde to acetate is followed by formation of acetyl-CoA